Capgras syndrome is?
1. Delusion of infidelity
2. Delusion of love
3. Delusion of double
4. Delusion of grandiose

Correct answer: 3. Delusion of double

Explanation: Ans is 'c' i.e. Delusion of double Delusion of misidentificationA. Capgras syndrome (Delusion of double): - Belief that a familiar person has been replaced by an exact double i.e. an impostor.B. Fregoli syndrome: - Belief that a complete stranger is actually a familiar person already known to one.Also remember* Othello syndrome - delusion of jealousy (infidelity)* Declerambault's syndrome - delusion of love* Cotard's syndrome - Nihilistic delusions* Ekbom syndrome - Delusion of infestations.